Gross findings of heart from an 18yrs/F presented with a history of sore throat 3 months back & joint pains have been shown below. On auscultatory finding, a murmur was noted.What is your diagnosis
1. Libmansach endocarditis
2. Infective endocarditis
3. Rheumatic carditis
4. Marantic carditis

Correct answer: 3. Rheumatic carditis

Explanation: Note that in the given figure the vegetations are along the lines of closure and are small in size. Vegetations in Rhuematic carditis - small,sterile,firm,along line of closure. In chronic RHD - Mitral stenosis - 1.)fish mouth stenosis 2.)button hole